Blood flow in the vessels supplying the subendocardial portion of left ventricle occurs during:
1. Systole
2. Diastole
3. Throughout the cycle
4. Diastole and mid half of systole

Correct answer: 2. Diastole

Explanation: Ans. B: DiastoleThe pressure inside the left ventricle is slightly higher than in the aorta during systole and hence blood flow in the vessels supplying the subendocardial portion of left ventricle occurs during diastole. On the other hand, the pressure difference between the right ventricle and aorta and the differential between the aorta and the right atria are somewhat greater during systole than during diastole so blood flow in these parts of the heart is not appreciably reduced during systole.